A 75 year old patient presents with deterioration of vision. On examination the pupillary reflex is observed to be sluggish and the intraocular pressure is normal. Optic disc evaluation shows a large and deep cup and paracentral scotomas. The most likely diagnosis is:
1. Primary Narrow angle glaucoma
2. Normal Tension Glaucoma
3. Neovascular Glaucoma
4. Absolute Glaucoma

Correct answer: 2. Normal Tension Glaucoma

Explanation: Ans. (b) Normal Tension GlaucomaRef: Kanski 7/e, p. 346; Yanoff 3/e, p. 1159Glaucomatous cupping (large and deep cup) along with glaucomatous visual field defects (paracentral scotomas are the most frequent) in patients with normal intraocular pressure suggests a diagnosis of Normal Tension Glaucoma (NTG).